About Maternal mortality rate which of the following is true?
1. It is rate, not ratio
2. Numerator includes complications related deaths up to 42 days after pregnancy
3. Denominator includes still birth and abortions
4. Expressed as rate per 1000 live births

Correct answer: 2. Numerator includes complications related deaths up to 42 days after pregnancy

Explanation: Maternal mortality rate is the total no.of female deaths due to complications of pregnancy,childbirth,or eithin 42 days of delivery from puerperal causes in an area during a given year divided by total no.of live births in the same area and year.REF.PARK'S TEXTBOOK OF PREVENTIVE AND SOCIAL MEDICINE.Editon-21.Page no.-514